All the following indicators are used to measure disability rates in a community except
1. Sullivan's index
2. Human Poverty index
3. Health adjusted life expectancy
4. Disability adjusted life years

Correct answer: 2. Human Poverty index

Explanation: Human poverty indicator does not measure disability rates in a community. Sullivan's: Disability-free life expectancy. HALE: Equivalent number of years in full health that a newborn can expect to live based on current rates of ill-health and mortality. 1 DALY = 1yr of healthy life lost. 1 QALY = 1yr of life lived in perfect health. Ref : Park's Textbook of Preventive and Social Medicine; 23rd edition - Pgno 26